All of the following are haemoproteins, EXCEPT:
1. Catalase
2. Tryptophan pyrrolase
3. Cytochrome c
4. Adenylate kinase

Correct answer: 4. Adenylate kinase

Explanation: Haemoproteins:- A haemoprotein or heme protein, is a protein that contains a heme prosthetic group. Heme containing proteins: Hemoglobin Myoglobin Cytochromes (ETC Components) Heme containing enzymes Catalase Peroxidase Tryptophan dioxygenase/Tryptophan pyrrolase Few more examples:- Cytoglobin Neuroglobin SolubleGuanylyl cyclase NADPH oxidase Nitric oxide synthase (NOS)